Characteristic pathologic feature in malignant hypertension is:
1. Fibrinoid necrosis
2. Papillary necrosis
3. Glomerulosclerosis
4. Focal glomerulonephritis

Correct answer: 1. Fibrinoid necrosis

Explanation: Ans: a (Fibrinoid necrosis)Ref: Robbin's, 7thed, p. 530 & 6,hed, p. 515